Positive Shick's test indicates that the person is
1. Immune to diphtheria
2. Hypersensitive to diphtheria
3. Susceptible to diphtheria
4. Carrier of diphtheria

Correct answer: 3. Susceptible to diphtheria

Explanation: Schick test: intradermal test to demonstrate circulating diphtheria antitoxin. This antitoxin may be present either due to previous infection or immunization. This test demonstrates the immunity or susceptibility of a person against diphtheria. Positive Schick test signifies that the person is susceptible to diphtheria due to the absence or lack of adequate amount of circulating antitoxin. Reference: Textbook of Microbiology; Baveja; 4th edition; Page no: 219, 220